Appendix of testis develops from:
1. Mesonephric duct
2. Mesonephric tubules
3. Paramesonephric duct
4. Wollfian duct

Correct answer: 3. Paramesonephric duct

Explanation: Paramesonephric duct gives rise to appendix of testis in males and in females it gives rise to hydatid of morgagni, uterus, cervix and fallopian tubes. Testis is formed from the genital ridge.Ref: Textbook of gynaecology, Dutta, 5th Edition, Page 38.